Which of the following is not true about etomidate -
1. It is an intravenous anaesthetics
2. It precipitates coronary insufficiency
3. It inhibits cortisol synthesis
4. It causes pain at injection site

Correct answer: 2. It precipitates coronary insufficiency

Explanation: Ans. is 'b' i.e., It precipitates coronary insufficiency o It produces little cardiovascular and respiratory depression -4 Agent of choice for cardiovascular surgeries (bypass, aneurysms, valve surgery). Coronary perfusion pressure is maintained when it is used with fentanyl.